Left atrial filling pressure closely approximates?
1. Pulmonary capillary wedge pressure
2. Central venous pressure
3. Intrapleural pressure
4. Intracranial pressure

Correct answer: 1. Pulmonary capillary wedge pressure

Explanation: Answer is A (Pulmonary Capillary Pressure) Pulmonary Capillary Wedge Pressure (PCWP) Closely approximates Left Atrial (LA)Pressure